Winch of the following organelles plays a pivotal role in apoptosis?
1. Mitochondria
2. Endoplasmic reticulum
3. Nucleus
4. Golgi apparatus

Correct answer: 1. Mitochondria

Explanation: Ans. (a) Mitochondria(Ref Essential of apoptosis 2003:245)Mitochondria is the most important organelle involved in apoptosis initiation and regulation.